National Leprosy Eradication Programme was started in -
1. 1949
2. 1955
3. 1973
4. 1983

Correct answer: 4. 1983

Explanation: National leprosy eradication programme: Started in 1983 with the goal of eradicating the disease by the turn of the century. The aim was to reduce case load to 1 or less than 1 per 10,000 population. Strategies: 1. Integrated leprosy services through general health care system. 2. Early detection and treatment of new leprosy cases. 3. Carrying out household contact survey for early detection of cases. 4. Involvement of ASHA in the detection and completion of treatment of leprosy cases on time. 5. Strengthening of disability prevention and medical rehabilitation services. 6. Information , Education and communication activities in the communities to improve self reporting to PHC and reduction of stigma. 7. Intensive monitoring and supervision at block primary health centre/CHC. {Reference-park's textbook of preventive and social medicine, 23rd edition, pg no.425}